All of the following are neural tube defects except-
1. Myelomeingocoele
2. Anencephaly
3. Encephalocele
4. Holoprosencephaly

Correct answer: 4. Holoprosencephaly

Explanation: Ans. is 'd' i.e., Holoprosencephaly Holoprosencephaly is a developmental disorder of the brain that results from defective cleavage of the prosencephalon. It is thus a malformation of cortical development and not a neural tube defect. The major neural tube defect include: Spina bifida occulta Anencephaly Diastematomyelea Meningocele Dermal sinus Lipoma involving conus medullaris Meningomyelocele Tethered cord Encephelocele Syringomyelia